True about ABO blood group antigen:
1. Found on RBC membrane
2. Glycprotein in nature
3. Highly immunogenic
4. All

Correct answer: 4. All

Explanation: A, B, C i.e. Found on RBC membrane; Glycprotein in nature; Highly immunogenic